Thrombospondin is:
1. Coagulation protein
2. Coagulation promoting protein
3. Contractile protein
4. Angiogenesis inhibiting protein

Correct answer: 4. Angiogenesis inhibiting protein

Explanation: Thrombospondin is a family of large multi functional proteins some of which similar to SPARC inhibit angiogenesis. The production of thrombospondin-1 has been shown to be inversly related to the ability of a cell line to produce a tumour and vessels in vivo loss of thrombispondin -1 production allowed nin tumorogenic cells to become tumourogenic.(ref Robbins 9/e p306)